In a community with one lakh population, 20,000 slides were examined in a particular year. Out of these, 100 were positive for malarial parasite. What is the Annual Parasite Incidence (API) in this community ?
1. 5
2. 2
3. 1
4. 0.5

Correct answer: 3. 1